Constitutional pancytopenia can be seen in following except –
1. Fanconi's anemia
2. Diamond–Blackfan syndrome
3. Dyskeratosis congenita
4. Schwachman Diamond syndrome

Correct answer: 2. Diamond–Blackfan syndrome